which of the following is not used in the treatment for tardive dyskinesia
1. clozapine
2. vitamin E
3. clonazepam
4. haloperidol

Correct answer: 4. haloperidol

Explanation: TARDIVE DYSKINESIA Involuntary Choreo athetoid movements Involving the face, trunks and limbs M.C SITE-=========== peri oral movements Exacerbated by stress Relieved by rest TREATMENT Benztropine Benzodiazepine Vitamin E Ondansean clozapine Ref. Kaplon and Sadock, synopsis of psychiatry, 11 th edition, pg no. 925